A patient developed fixed drug eruptions after taking certain medications. Which of the following drug will give rise to these skin lesions in this patient?
1. Phenolphthalein
2. Aspirin
3. Dapsone
4. All of the above

Correct answer: 4. All of the above

Explanation: A fixed drug eruption (FDE) is an adverse cutaneous reaction to an ingested drug, characterized by the formation of a solitary (but at times multiple) erythematous patch or plaque. Most commonly implicated agents in fixed drug eruptions: Tetracyclines (tetracycline, minocycline) Sulfonamides, other sulfa drugs Metronidazole, nystatin, salicylates, NSAIDs, phenylbutazone, phenacetin Barbiturates Oral contraceptives Quinine (including quinine in tonic water), quinidine Phenolphthalein Food coloring (yellow): in food or medications Ref: (2013). Section 23. Adverse Cutaneous Drug Reactions1. In Wolff K, Johnson R, Saavedra A.P. (Eds), Fitzpatrick's Color Atlas and Synopsis of Clinical Dermatology, 7e.